Superficial perineal space contains all except -
1. Root of penis
2. Urethral artery
3. Great vestibular glands (Bartholin glands)
4. Membranous urethra

Correct answer: 4. Membranous urethra

Explanation: The root of the penis, urethral artery, and great vestibular glands are all content of superficial perineal space, whereas membranous urethra is a content of deep perineal space.